CA-125 is specific marker of:
1. Choriocarcinoma
2. Teratoma
3. Epithelial cell carcinoma of ovary
4. Seminoma

Correct answer: 3. Epithelial cell carcinoma of ovary

Explanation: Ans. is c, i.e. Epithelial cell carcinoma of ovaryRef: Shaw 15th/ed, p387; Williams Gynae 1st/ed, p722* CA-125 is a glycoprotein secreted by malignant epithelial tumors of ovary. Therefore it is a marker of epithelial cell carcinoma of ovary.* CA-125 level correlates with volume of tumor and is elevated in 50% of Stage I tumor and 90% of tumors with Stage II or higher.* CA-125 level is also useful for follow up after treatment. Level >35units/ml suggests residual tumor.Remember:* Two best screening test for ovarian ca are measurement of CA-125 levels and transvaginal USG.* CA-125 is raised in: - Ref: Harrison 16th/ed, p554Benign conditionMalignant condition* Pregnancy* PID* Endometrioses* Uterine fibroid* About 1% of normal females* Endometrial Ca* Pancreas Ca* Colon Ca* Cervix Ca* Fallopian tubes Ca* Breast Ca* Ovarian epithelial Ca (MC cause)* Lung CaMnemonic: Endogenous Pneumocystis Carinii Causes TB Of Lungs* In a postmenopausal women with an asymptomatic pelvic mass and CA-125 >65U/ml is very sensitive for diagnosis of ovarian epithelial tumor.* Although CA 125 is raised in many cancers it is specific for epithelial ovarian cancer.